Which of the following hormones are increased due to stress during surgery, especially in DM:
1. Epinephrine
2. GH
3. Glucocorticoids
4. All

Correct answer: 4. All

Explanation: A i.e. Epinephrine; B i.e. GH; C i.e. Glucocorticoid Glucagon, catecholamines (epinephrine & norepinephrine), cortisol, ACTH, GH (growth hormone) are increased in stress (infection, surgery, hypoglycemia) whereas, insulin is suppressed (decreased)Q. In maintenance of internal homeostasis (ie avoiding stress) and reproduction processes, multiple hormones cooperate to bring about organized biochemical & physiological responses. Stress Syndrome: CRH - ACTH - Cortisol Axis The primitive signal of glucose (substrate) lack is expanded to a broder signal of fright or stress and evokes a coordinated neural and endocrine response. Any stressful event eg. surgery, infection, burn triggers a hypermetabolic state in which a resting energy expenditure is increased alongwith body temperature. CRH-ACTH - cortisol axis is central to this integrated response to stress. Features of Stress Syndrome - Corticotropin releasing hormone (CRH) is increased in response to noxious environmental stimuli like pain, trauma, hypoglycemia, infection, surgery, hypovolemia. Various nervous impulses using several neuro transmitters (NTs) like norepinephrine, serotonin, acetylcholine, dopamine, and GABA reach CRH neurosecretory cells and cause release of CRH - In response to CRH, both ACTH and p endorphins (secreted 13-LPH & mature p-endorphin) are released in equimolar quantities 13-endorphin produce central analgesic response. - Glucagon & catecholamines (epinephrine & norepinephrine) are increased, stimulating glycogenolysis (glucose production in liver) for immediate use by critical organs such as the brain. - Cortisol production is increased in adrenal cortex which induces gluconeogenesis (glucose production from noncarbohydrate source like muscles & other body proteins) - Glucogon, epinephrine, ACTH and growth hormone (GH) stimulate lipolysis and free fatty acids (FFA) & ketones are released into the circulation to be used as an alternative metabolic fuel. - Insulin is suppressedQ that results in decrease in glucose utilization. - One form of stress that is cold, specially in neonate causes increased TRH secretion due to depressed metabolism of neurons in pre- optic area by cooling which release inhibitory discharge, permitting TRH secretion. - ADH (vasopressin), angiotensin & aldosterone synthesis is increased enhancing salt water retention - So increased glucose production (by glycogenolysis & gluconeogenesis) and decreased utilization of glucose results in hyperglycemia. There is marked increase in release of aminoacids from tissue protein, particularly from skeletal muscle for gluconeogenesis. However, synthesis of specific proteins may increase - These metabolic changes are coordinated with increased sympathetic nervous system activity causing peripheral vasoconstriction and increased blood pressure.